True about fallopian tubes are all except :
1. Lined by cuboidal epithelium
2. Isthmus is the narrower part of the tube that links to the uterus
3. Tubal ostium is the point where the tubal canal meets the peritoneal cavity
4. MUllerian ducts develops in females into the Fallopian tubes

Correct answer: 1. Lined by cuboidal epithelium

Explanation: The two uterine tubes are each about 4 in. (10 cm) long and lie in the upper border of the broad ligament. Each connects the peritoneal cavity in the region of the ovary with the cavity of the uterus. The uterine tube is divided into four parts: The infundibulum is the funnel-shaped lateral end that projects beyond the broad ligament and overlies the ovary. The tubal ostium is the point where the tubal canal meets the peritoneal cavity. The ampulla is the widest part of the tube. The isthmus is the narrowest part of the tube and lies just lateral to the uterus. The intramural part is the segment that pierces the uterine wall. Function The uterine tube receives the ovum from the ovary and provides a site where fertilization of the ovum can take place (usually in the ampulla). The inner mucous membrane of the uterine tube is lined by the ciliated columnar epithelium mixed with the nonciliated secretory cells or peg cells The Mullerian ducts develops in females into the fallopian tubes, uterus and vagina, while the Wolffian ducts develops in males into the epididymis and vas deferens